Which of the following is a characteristic feature of protective epithelium?
1. Regeneration of membrane
2. Microvilli
3. Absorptive properties
4. Secretory vesicles

Correct answer: 1. Regeneration of membrane

Explanation: Skin when the epithelium is damaged or removed, it is continuously regenerated. Epithelia possess tight intercellular junctions between cells. These junctions effectively cement cells together into single layered or multilayered sheets of cells. These tissue sheets drape body organs, line cavities, and cover external body surfaces providing protection from microbial invasion or friction. The epithelia of these sheets can also be secretory, producing lubricating, protective, or nutritive fluids of membranes.